Select the most suitable antiarrhythmic drug for counteracting ventricular extrasystoles due to digoxin toxicity
1. Verapamil
2. Quinidine
3. Lignocaine
4. Amiodarone

Correct answer: 3. Lignocaine

Explanation: Digitalis Toxicity:- Toxicity of digitalis is high, margin of safety is low (therapeutic index 1.5-3). Higher cardiac mortality has been reported among patients with steady-state plasma digoxin levels > 1.1 ng/ml but still within the therapeutic range during maintenance therapy. Manifestations and treatment of toxicity For ventricular arrhythmias:- Lidocaine i.v. repeated as required is the drug of choice. It suppresses the excessive automaticity, but does not accentuate A-V block. Quinidine, procainamide and propafenone are contraindicated. Ref:- kd tripathi; pg num:-516